Predominant blood supply to the supraduodenal bile duct is derived from
1. Vessels that run upward along the bile duct from the duodenal end of the duct such as the retroduodenal and the gastroduodenal arteries retro
2. Vessels that run downward along the bile duct from the hepatic and of the duct as the right hepatic artery
3. Vessels that arise from the hepatic artery proper as it runs up along the common bile duct and supplies it with twigs in a non-axial distribution
4. Vessels that arise from the cystic artery

Correct answer: 1. Vessels that run upward along the bile duct from the duodenal end of the duct such as the retroduodenal and the gastroduodenal arteries retro

Explanation: Blood supply of supraduodenal bile duct Axial Blood supply: (98%) The most important of these vessels run along the lateral borders of the bile duct and are called the '3 o clock ' and '9 o clock' arteries. 60% of the blood supply occurs from the duodenal (caudal) end of the duct primarily from branches of the retroduodenal artery (posterior superior pancreaticoduodenal artery). 38% of the blood supply occurs from the hepatic (cephalic) end of the right hepatic artery. Non-axial blood supply: only 2% of blood supply to the supraduodenal bile duct from the branches of the hepatic artery proper. Ref: Gray's Anatomy 41st edition Pgno: 1176